All are true regarding direct ophthalmoscopy except:
1. Image is erect
2. Magnification is more than indirect ophthalmoscopy
3. Wide area of fundus with least magnification can be seen in hypermetropics
4. It has a large field of view.

Correct answer: 4. It has a large field of view.

Explanation: Ans. D: It has a large field of view Direct ophthalmoscopy allows visualization of the posterior pole of retina upto the equator. In comparison to this, indirect ophthalmoscopy has large field of view. The image is erect and magnified about 15 times (more magnified than that of indirect ophthalmoscopy) The area of the fundus which can be seen by the direct method varies with the distance of the observer from the eye and with the refraction. It increases as the eye is approached, is greatest in hypermetropia, least in myopia and intermediate in emmetropia. Thus the largest area, least magnified, is seen in hypermetropia, and the least area, most magnified, in myopia.